On chronic treatment with a drug, a patient presents with gingival hyperplasia and facial hirsutism. The drug most likely to cause these side effects is :
1. Phenytoin
2. Carbamazepine
3. Valproic acid
4. Phenobarbitone

Correct answer: 1. Phenytoin